Complications of dentigerous cyst can be:
1. Ameloblastoma.
2. Mucoepidermoid carcinoma.
3. Squamous cell carcinoma.
4. All of the above.

Correct answer: 4. All of the above.